Which component of diet effects plaque composition
1. Carbohydrate
2. Mineral
3. Protein
4. Fats/lipids

Correct answer: 1. Carbohydrate